Which of the following is not a culture bound syndrome?
1. Amok
2. Latah
3. Dhat
4. Von-Gogh

Correct answer: 4. Von-Gogh

Explanation: Ans. D. Von-GoghImpoant culture-bound syndromesAtaque de nervios Dhat syndrome Khyal cap Ghost sicknessKufungisisaMaladi mounNerviosShenjing shuairuoTaijin kyofushoSustoAmok Koro Latah Windigo